Most common cause of anterior uveitis associated with arthritis:
1. Ankylosing spondylitis
2. Rheumatoid arthritis
3. Syphilis
4. Tuberculosis

Correct answer: 1. Ankylosing spondylitis

Explanation: Ans. Ankylosing spondylitis